Secretory component is present in:
1. IgA
2. IgG
3. IgM
4. All of these

Correct answer: 1. IgA

Explanation: IgA are the secretory antibodies seen in seromucous secretions of gastrointestinal tract, nasopharyngeal tract, urogenital tract, tears, saliva, sweat, etc.,
Reference: Vasudevan 7th  ed, pg 689